All of the following statements concerning CO2 transport are TRUE, EXCEPT:
1. Compared to O2, dissolved CO2 plays a significant role in its transport
2. The bulk of CO2 transport involves reversible combination of CO2 with water in red blood cells
3. CO2 is rapidly converted to bicarbonate anions in plasma
4. Chloride ions enter red blood cells in exchange for bicarbonate anions

Correct answer: 3. CO2 is rapidly converted to bicarbonate anions in plasma

Explanation: The solubility of CO2 in blood is twenty times that of O2, and thus a small but considerable portion of CO2 is dissolved in blood (5%). The bulk of CO2 transport involves its reversible combination with water. This occurs rapidly enough because of the action of carbonic anhydrase, an enzyme located inside RBCs. As bicarbonate ion diffuses out of RBCs, chloride ions diffuse in according to Gibbs-Donnan equilibrium. Combination of CO2 with amine groups, especially those of hemoglobin, also accounts for a significant portion of CO2 transport (5%). Ref: Barrett K.E., Barman S.M., Boitano S., Brooks H.L. (2012). Chapter 35. Gas Transport & pH. In K.E. Barrett, S.M. Barman, S. Boitano, H.L. Brooks (Eds),Ganong's Review of Medical Physiology, 24e.